Transfer of Iron from enterocyte to plasma is inhibited by?
1. Hepcidin
2. DMT-1
3. Ferroportin
4. Hephaestin

Correct answer: 1. Hepcidin

Explanation: Hepcidin: - Regulator of iron metabolism. - It inhibits iron transport by binding to the iron export channel ferroportin, located on basolateral surface of enterocytes - Remaining options given - DMT-1, Ferroportin, Hephaestin - help in transport of iron from enterocytes into blood